Which of the following results in broad complex tachycardia?
1. Antidromic conduction in Accessory pathway mediated tachycardia
2. Orthodromic conduction in accessory pathway mediated tachycardia
3. AV nodal re-entrant tachycardia
4. Atrial fibrillation

Correct answer: 1. Antidromic conduction in Accessory pathway mediated tachycardia

Explanation: Antidromic conduction in AP mediated tachycardia results in broad complex tachycardia as the impulses travel in the ventricles inter-myocyte conduction. Speed of conduction of inter-myocyte conduction is less than that of purkinje network leading to broad complex tachycardia. Choices B, C and D result in narrow complex tachycardia. Important causes of broad complex tachycardia- Antidromic conduction in WPW Monomorphic VT Torsades de pointes/ Polymorphic Ventricular tachycardia